Which of the following is derived from cartilage of the third arch-
1. Styloid process
2. Malleus
3. Incus
4. Greater cornu of hyoid

Correct answer: 4. Greater cornu of hyoid

Explanation: D i.e. Greater cornu of hyoid